Aortic area for auscultation overlying the chest wall is located at
1. Cardiac apex
2. 2nd intercostal space on right side
3. 2nd intercostal space on left side
4. Epigastric region

Correct answer: 2. 2nd intercostal space on right side

Explanation: Aortic area of auscultation is in 2nd right costal caillage near sternum. Ref - sciencedirect.com